Which of the following is not used for investigation 1 of fat malabsorption:
1. 13C Trioctanoin
2. 13C Triolein
3. 13C Tripalmitin
4. 13C Triclosan

Correct answer: 4. 13C Triclosan

Explanation: Answer is D (13C Triclosan) Triclosan is not used for the evaluation of fat malabsorption. Triclosan is an antibacterial and antifungal agent found in numerous consumer products, including soaps, detergents, toys, and surgical cleaning treatments. Its efficacy as an antimicrobial agent and the risk of antibacterial resistance remains controversial. Breath tests using 13 C-marked triglycerides are based on the principle that intestinal triglyceride absorption requires prior hydrolysis by lipase to produce free fatty acids and monoacylglycerol. These metabolites are incorporated into micelles, absorbed, resynthesized and transported to the liver. Lipolytic hepatic enzymes subsequently release 13 C-marked fatty acids. These undergo Beta-oxidation which results in formation of 13 CO2 that is absorbed into the bloodstream, transported to the lung and exhaled. The increase in 13 CO2 concentration in breath thus correlates with intestinal lipid digestion and absorption. 13C-marked triglycerides are nonradioactive and can be applied safely and repeatedly, also to children and pregnant women. Initially focused on investigating infants and pregnant women with their particularly high risks of being exposed to energy rich radiation, breath tests using the stable isotope 13C instead of its radioactive counterpart 14C, nowadays have replaced 14C-breath tests almost completely. TRIPALMITIN BREATH The tripalmitin breath test is used for studying fat malabsorption and TEST aetiology of steatorrhea, particularly with respect to long chain fatty acids. Suitability for clinical diagnosis: satisfactory. Other 13C- breath tests for investigating exocrine pancreatic function and diagnosing pancreatic diseases include 13C- CHOLESTERYL OCTANOATE BREATH TEST 13C-CHOLESTERYL OLEATE BREATH TEST 13C-LINOLEIC ACID BREATH TEST; 13C-LINOLENIC ACID BREATH TEST 13C OLEIC ACID BREATH TEST; 13C-PALMITIC ACID BREATH TEST; 13C-STEARIC ACID BREATH TEST 13C-HIOLEIN BREATH TEST ; 13C-TRIGLYCERIDE BREATH TESTS with genuine plant oils and other genuine triglycerides 13C-TRILINOLEATE BREATH TEST